Following is true about inverse agonist ?
1. Affinity + Intrinsic activity +
2. Affinity + Intrinsic activity 0
3. Affinity - Intrinsic activity ?
4. Affinity + Intrinsic activity -

Correct answer: 4. Affinity + Intrinsic activity -

Explanation: Ans. is 'd' i.e., Affinity + Intrinsic activity - Receptors are specific binding site with functional correlate. In relation to action through receptors, two terms are important.